When do you operate for prolapsed disc ?
1. Busy executive needs quick surgery
2. Only with weakness no pain
3. Severe pain interfering with activity and not relieved by rest and treatment of 8 weeks
4. Patient of PID with difficulty in ambulation

Correct answer: 3. Severe pain interfering with activity and not relieved by rest and treatment of 8 weeks

Explanation: Ans. is 'c' i.e., Severe pain interfering with activity and not relieved by rest and treatment of 8 weeks Indications for surgery in cases of Prolapsed intervertebral disc are :- i) Failure of conservative treatment (even after 8 weeks of treatment). ii) Progressive neurological deficit. iii) Cauda - equina syndrome. iv) Severe sciatic tilt.